What is marker for cell membrane?
1. 5' nucleotidase
2. LDH
3. G6PD
4. All

Correct answer: 1. 5' nucleotidase

Explanation: A i.e 5-Nucleotidase